After glucose rinse, the duration for which  pH drop is seen in interproximal plaque:
1. 20 minutes
2. 60 minutes
3. 120 minutes
4. 180 minutes

Correct answer: 3. 120 minutes